During first trimester of pregnancy risk of fetal malformation in a pregnant woman with insulin dependent diabetes is best predicted by :
1. Blood sugar values
2. Glycosylated haemoglobin levels
3. Serum alpha fetoprotein levels
4. Serum unconjugated estriol levels

Correct answer: 2. Glycosylated haemoglobin levels

Explanation: Glycosylated haemoglobin levels